Drug used in the treatment of CAH in a child is:
1. Dexamethasone
2. Betamethasone
3. Prednisolone
4. Hydrocortisone

Correct answer: 4. Hydrocortisone

Explanation: d. Hydrocortisone(Ref: Nelson's 20/e p 2719)Treatment of CAH (21 hydroxylase deficiency) involves use of Hydrocortisone 15-20mg/m2/24hr, administered orally in 3 divided doses. Double or triple doses are indicated during periods of stress, such as infection or surgery.